Most common cause of short stature is:
1. Constitutional
2. Hypothyroidism
3. Growth hormone deficiency
4. Systemic illness

Correct answer: 1. Constitutional

Explanation: Ans. A: Constitutional The causes of short stature can be divided into 3 broad categories: Chronic disease (including undernutrition genetic disorders) Familial short stature Constitutional delay of growth and development (commoner) Endocrine diseases are rare causes of short stature. The hallmark of endocrine disease is linear growth failure that occurs to a greater degree than weight loss.